What is not a feature of raised ICT
1. Hypertension
2. Tachycardia
3. Vomiting
4. Blurring of vision

Correct answer: 2. Tachycardia

Explanation: intracranial hypertension is presented as headache and accompanied with diplopia(6th nerve involvement) ,visualdisturbances,papilloedema *vomiting ,coma,bradycardia and arterial hypertension are late features of raised ICT. Ref Harrison20th edition pg 2234